Contraindications for medical method (mifepristone + misoprostol) of first trimester MTP-
1. Patient with hemoglobin of 7 gm%
2. Suspected ectopic pregnancy
3. Glaucoma
4. All of the above

Correct answer: 4. All of the above

Explanation: Ans. D. All of the above* Contraindications (due to medical reasons) for medical method of abortion:a. Smoking>35 yearsb. Hemoglobin <8g%c. Confirmed/suspected ectopic pregnancy/undiagnosed adnexal massd. Coagulopathy or patient on anticoagulant therapye. Chronic adrenal failure or current use of systemic corticosteroidsf. Uncontrolled hypertension with BP>160/100mmHgg. Certain cardio-vascular diseasesh. Severe renal, hepatic or respiratory diseasesi. Glaucomaj. Uncontrolled seizure disorderk. Allergy or intolerance to mifepristone /misoprostol or other prostaglandinsl. Lack of access to 24 hours' emergency services.